Which of the following is a major criterion for Neurofibromatosis (NF-1)?
1. Hypopigmented macules
2. Axillary freckling
3. Dental enamel pits
4. Facial angiofibromas

Correct answer: 2. Axillary freckling

Explanation: Neurofibromatosis NF-1 gene on the proximal long arm of chromosome 17 AD NF-2 gene is located near centre of long arm of chromosome 22 Diagnostic criteria for NF 1: >=2 of the following criteria to be fulfilled: 1. >=6 cafe-au-lait macules of over 5mm in greatest diameter in pre pubertal individuals and over 15mm in greatest diameter in post pubertal individuals. 2. >=2 neurofibromas of any type or 1 plexiform neurofibroma. 3. Freckling in the axillary or inguinal regions 4. Optic glioma 5. >=2 Lisch nodules 6. Distinctive osseous lesion such as sphenoid dysplasia or thinning of the long bone cortex with or without pseudoarthrosis 7. A first-degree relative (parent, sibling, offspring) with NF1 by the above criteria. The presence of one or two cafe-au-lait macules is not diagnostic in the absence of other signs of the disease but if six or more cafe-au-lait macules are present, with a diameter of 5 mm or more, the probability of neurofibromatosis is high.